A 40-year-old paraplegic is taken to the OR for cholecystectomy for acute cholecystitis. She is given succinylcholine before intubation. Immediately after induction of anesthesia, she develops cardiac arrest. What is the most likely cause?
1. Esophageal intubation
2. Hyperkalemia
3. Perforation of gallbladder
4. Hypovolemic shock

Correct answer: 2. Hyperkalemia

Explanation: Administration of a depolarizing anesthetic agent such as succinylcholine in quadriplegics, in paraplegics, or after burns and severe trauma can result in life-threatening hyperkalemia from release of intracellular potassium.